HLA-B27 is associated with?
1. Osteoarthritis
2. Sjogren syndrome
3. Behcet disease
4. Reiter's Syndrome

Correct answer: 4. Reiter's Syndrome

Explanation: In addition to its association with ankylosing spondylitis, HLA-B27 is implicated in other types of seronegative spondyloarthropathy
• Reactive arthritis (Reiters Syndrome)
• Acute anterior uveitis and iritis
• Psoriatic arthritis
• Ulcerative colitis associated spondylo-arthritis